Frigidity is:
1. Inability to initiate sexual arousal in female
2. Inability to initiate sexual arousal in male
3. Ejaculation occurring immediately after penetration
4. Inability to conceive with particular male

Correct answer: 1. Inability to initiate sexual arousal in female

Explanation: Ans. Inability to initiate sexual arousal in female